Pin hole can reduce refractive error upto -
1. 1 D
2. 3 D
3. 5 D
4. 10 D

Correct answer: 2. 3 D

Explanation: Looking through a pinhole reduces the patients refreactive error and improves vision by increasing depth of focus. However, the pinhole vision is limited by diffraction. The opitimal aperture size of a pinhole is 1.2mm, which may correct up to 3D of refreactive error. Reference : Essentials of ophthalmology by Kaiser p.20